Bacterial meningitis in children (2 months-12 years) is usually due to the following organisms EXCEPT:
1. Streptococcus pneumoniae
2. Neisseria meningitides
3. H. influenzae type B
4. L. Monocytogenes

Correct answer: 4. L. Monocytogenes

Explanation: - Listeria is an important cause of meningitis in the neonatal period, but not in older children. - MCC of acute bacterial meningitis in children are Streptococcus pneumoniae, Neisseria meningitides, H. influenzae